Stain used for the diagnosis of granulocytic sarcoma
1. Myeloperoxidase
2. Leucocyte alkaline phosphatase
3. Non specific esterase
4. Neuron specific esterase

Correct answer: 1. Myeloperoxidase